All of the following are manifestations of hypervitamin- osis A except?
1. Loss of hair
2. Generalized exfoliation
3. Decreased Intracranial pressure
4. Muscle pains

Correct answer: 3. Decreased Intracranial pressure

Explanation: Ans. (c) Decreased Intracranial pressureRef: OP Ghai 8th ed.Hll-112* Manifestations of acute toxicity include muscle and bone tenderness, especially over the long bones of the upper and lower extremities, as well as neurologic manifestations with signs of increased intracranial pressure (eg, children may have bulging fontanelles).* Manifestations of chronic toxicity include the following:Alopecia /xeroderma with itchy skin/Skin erythema/Skin desquamation/ itching/Brittle nails/ Exanthema/ Cheilitis/ Conjunctivitis/Petechiae/ Liver cirrhosis/Premature epiphysial closure in children/Hepato-splenomegaly/Peripheral neuritis/Benign intracranial hypertension/ Ataxia/Papilledema/ Diplopia/Hyperostosis.Previous year questions on Topic: vitamin A* Pseudotumor cerebri/benign intracranial hypertension= vitamin A toxicity* Earliest sign of vitamin A deficiency = conjunctival xerosis* Treatment of vitamin A toxicity= vitamin A orally 2 LAC IU on day 0,1 and day 14.